HLA B51 is associated with ?
1. Behcet's disease
2. Chrug strauss syndrome
3. Microscopic polyangitis
4. Polyarteritis nodosa

Correct answer: 1. Behcet's disease

Explanation: Ans. is 'a' i.e., Behcet's disease Behcet's disease :? Behcet disease is a small- to medium-vessel neutrophilic vasculitis that classically presents as a clinical triad of recurrent oral aphthous ulcers, genital ulcers, and uveitis. There can also be gastrointestinal and pulmonary manifestations, with disease mortality related to severe neurologic involvement or rupture of vascular aneurysms. There is an association with certain HLA haplotypes (HLAB51, in particular)